False statement about pheochromocytoma -
1. 10% are bilateral
2. Arises from chromaffin cells
3. Extra adrenal tumor -increased nor adrenaline levels
4. None

Correct answer: 4. None

Explanation: Ans. is 'None'